Antidote for arsenic poisoning is:
1. Ferric oxide
2. Aluminium oxide
3. Magnesium oxide
4. Nickel oxide

Correct answer: 1. Ferric oxide

Explanation: Ans. (A). Ferric oxide(Ref: Parikh 6th/e p. 9.9-9.11; Reddy 30th/e p. 493-494; Essentials of forensic medicine-812)Poisons and AntidotesPoisonAntidoteArsenicFerrous hydroxideQMethanolEthanolQ, 4 MethylpyrazoleBenzodiazepineFlumezenilOPCAtropine, OximesQCyanideEli Lilly antidoteQ (sodium nitrite, amyl nitrite, sodium thiosulphate) Kelocyanor (dicobalt aceate)Cyanokit (hydroxycobalamin)PhosphorusCuSO4 ParacetamolN acetyl cysteineOpiateNaloxoneQDhaturaPhysostigmineQCopperPotassium ferrocyanide